Surgical neck fracture leads to all EXCEPT
1. Weakness of abduction
2. Deltoid muscle palsy
3. Teres major palsy
4. Teres minor palsy

Correct answer: 3. Teres major palsy

Explanation: Axillary nerve supplies: Deltoid (abductor of arm) and Teres Minor(lateral rotation) muscles. It winds up through surgical neck of humerus. So fracture of surgical neck damages axillary nerve causes: Teres minor palsy Deltoid palsy Abduction Of shoulder joint is damaged. Teres major is supplied by Lower subscapular nerve